Employee's contribution to Employee State Insurance
1. 3.75
2. 3.5
3. 2.75
4. 0.75

Correct answer: 4. 0.75

Explanation: According to ESI Act amendment 2019